A patient has small, oval multiple ulcers in oral cavity with red erythematous margins. The diagnosis is ?
1. Carcinoma
2. Aphthous ulcer
3. Tubercular ulcer
4. Syphilitic ulcer

Correct answer: 2. Aphthous ulcer

Explanation: Ans. is 'b' i.e., Aphthous ulcer Aphthous ulcers They are painful, recurrent, superficial ulcers, usually involving movable mucosa, i.e. inner surfaces of lips buccal mucosa, tongue, floor of mouth and soft palate while sparing mucosa of the hard palate and gingivae. It has 2 forms - minor & major In the minor form, which is more common, ulcers are 2-10 mm in size and multiple with a central necrotic area and a red halo. They heal in about 2 weeks without leaving a scar. In the major form, ulcer is very big 2-4 cm in size, and heals with a scar, but is soon followed by another ulcer. Other options Carcinomatous ulcer --> Usually single, Painless initially (painful in advanced stages) Tuberculosis --> Ulcer are shallow, often multiple with slightly undermined margin. It is painful when seen on ant. 2/3 of the tongue. Syphilitic ulcer --> Painless ulcer with induration.